pH of freshly mixed MTA is:
1. 7.2
2. 10.2
3. 11
4. 12

Correct answer: 2. 10.2

Explanation: Mineral trioxide aggregate (MTA) is composed of tricalcium silicate, tricalcium aluminate, tricalcium oxide and silicate oxide.

Bismuth oxide is added to the mixture for radiopacity.
pH - 12.5 (when set).
pH of freshly mixed MTA is 10.
Setting time is 2 hours 45 minutes.
Compressive strength—40 MPa (immediately after setting) which increases to 70 MPa after 21 days.